A child with bilious vomit and double bubble sign, and mother have polyhydramnios. Diagnosis is
1. Duodenal atresia
2. HPS
3. Algile syndrome
4. Esophageal atresia

Correct answer: 1. Duodenal atresia

Explanation: Due to complete stenosis of the 2 and part of the duodenum at the level ampulla of Vater produces bilious vomiting, 50% associated with maternal polyhydramnios, a plain x-ray reveals 2 foci of gases one in the stomach and other in the duodenum-double bubble sign. Reference SRB edition :5 page :1195,924